Which of the following abolishes the therapeutic effect of levodopa:
1. Thiamine
2. Carbidopa
3. Pyridoxine
4. Benserazide

Correct answer: 3. Pyridoxine

Explanation: Pyridoxine abolishes therapeutic effect of levodopa by enhancing peripheral decarboxylation of levodopa, less is available to cross to the brain. Ref KD Tripathi 8th ed.